Which irrigating solution has tissue dissolving properties
1. EDTA
2. Sodium Hypochlorite
3. Saline
4. Citric Acid

Correct answer: 2. Sodium Hypochlorite